CBCT stands for
1. Cone beam computed tomography
2. Coil beam computed tomography
3. Combined beam computed tomography
4. Circular beam computed tomography

Correct answer: 1. Cone beam computed tomography

Explanation: Cone-beam computed tomographic (CBCT) imaging is the most significant technologic advance in maxillofacial imaging since the introduction of panoramic radiography. CBCT imaging was initially developed commercially for angiography in the early 1980s. It uses a divergent cone-shaped or pyramid-shaped  source of ionizing radiation and a two-dimensional area detector fixed on a rotating gantry to provide multiple sequential transmission images that are integrated directly, forming volumetric  information.